5 years old child presented with generalised edema and ascites there was no hypertension or hematuria Renal function tests were normal . Urinalysis revealed massive proteinuria . Most probable diagnosis is
1. Membranous glomerulonephritis
2. Post - streptococcal glomerulonephritis
3. IgA nephropathy
4. Minimal Change disease

Correct answer: 4. Minimal Change disease

Explanation: All the above features suggest Nephrotic syndrome Most common cause is Minimal Change disease.